Not a indication for admission in pneumonia ?
1. Fever of 390 c
2. Cyanosis
3. Chest retracion
4. Not feeding well

Correct answer: 1. Fever of 390 c

Explanation: Ans. is 'a' i.e., Fever of 39degC Indications for urgent referral for hospital in AI Not able to drink Convulsions Severe malnutrition Stridor in calm child Abnormally sleepy or difficult to wake o All these are signs of very severe disease which is an indication for urgent hospital referrel. o Signs of very severe pneumonia i.e., chest retraction, cyanosis are also indications for urgent referrel to a hospital.